"Undertaker's fracture" is commonly seen in:
1. skull
2. cervical spine
3. Lumbar vertebrae
4. pelvis

Correct answer: 2. cervical spine

Explanation: Undertaker's fracture is basically a postmortem fracture, and occurs due to careless handling of the dead body by undertakers; in fact this fracture can be produced by anyone who has to do anything with the dead body. Pathologists are known to extend the head to make the removal of the neck structures easier. To do this, they usually insert a block about 10-15 cm high under the neck may fall forcibly backwards, producing this fracture. It involves subluxation of the lower cervical spine due to tearing of the intervertebral disc at about C6-C7